Digeorge syndrome is due to defect of?
1. pouch 1
2. pouch 2
3. pouch 3 and 4
4. pouch 5

Correct answer: 3. pouch 3 and 4

Explanation: Digeorge syndrome is due to defect of pouch 3 and 4. Pouch 3 compromised - No thymus - CMI decreases - Severe bacterial infections Pouch 3 & 4 compromised - absent or poorly developed parathyroid - low PTH - Hypocalcemia.